Which of the following are the risk factor for cutaneous lymphoma?
1. Age
2. Gender
3. Weakened immune system
4. All

Correct answer: 4. All

Explanation: Risk Factors for Lymphoma of the Skin Age Age is an important risk factor for this disease, with most cases occurring in people in their 50s and 60s. But some types of skin lymphoma can appear in younger people, even in children. Gender and race Most (but not all) types of skin lymphoma are more common in men than in women. Most also tend to be more common in African-Americans than in whites. The reasons for this are not known. Weakened immune systemSkin lymphomas may be more common in people with acquired immunodeficiency syndrome (AIDS), who have a weakened immune system. They may also be more common in people who have had an organ transplant such as a heart, kidney or liver transplant. These people must take drugs that suppress their immune system, which may raise the risk of skin lymphoma (or lymphomas in other parts of the body). Infections Infection with the human immunodeficiency virus (HIV), the virus that causes AIDS, may increase a person's risk of skin lymphoma. REF: THOMAS HABIF 6TH ED